Obstruction of inferior vena cava presents as
1. Paraumbilical dilatation
2. Thoracoepigastric dilatation
3. Esophageal varices
4. Hemorrhoids

Correct answer: 2. Thoracoepigastric dilatation

Explanation: Inferior vena cava syndrome is a result of obstruction of the inferior vena cava. It can be caused by invasion or compression by a pathological process or by thrombosis in the vein itself.